Tertiary hyperparathyroidism is -
1. Autonomous state due to monoclonal outgrowth of previously hyperplastic parathyroid glands
2. Increased sensitivity to serum calcium
3. Seen in patients with parathyroid adenoma
4. Dependent of hypothalamic stimulus

Correct answer: 1. Autonomous state due to monoclonal outgrowth of previously hyperplastic parathyroid glands

Explanation: Ans. is 'a' i.e., Autonomous state due to monoclonal outgrowth of previously hyperplastic parathyroid glands * Tertiary Hyperparathyroidism: It is the name given to persistent hypersecretion of PTH even after the cause of prolonged hypocalcemia is corrected.* Parathormone hypersecretion no longer responsive to medical therapy, a state of severe hyperparathyroidism in patients with renal failure that requires surgery, has been referred to as tertiary hyperparathyroidism.* Parathyroid surgery is necessary to control this condition. Based on genetic evidence from examination of tumor samples in these patients, the emergence of autonomous parathyroid function is due to a monoclonal outgrowth of one or more previously hyperplastic parathyroid glands.* The adaptive response has become an independent contributor to disease; this finding seems to emphasize the importance of optimal medical management to reduce the proliferative response of the parathyroid cells that enables the irreversible genetic change.* Parathyroid glands in tertiary hyperthyroidism are larger and degenerative changes are more common.